Most common cause of death in dialysis patient
1. Cardiovascular
2. Infection
3. Malignancy
4. Anemia

Correct answer: 1. Cardiovascular

Explanation: Cardiovascular disease constitutes the major cause of death in ESRD (rates are higher in patients receiving dialysis than in post transplantation pts) . causes are :associated risk factors (DM, HTN...), changes in extracellular volume, alterations in cardiovascular dynamics during dialysis treatment . Hypotension is the most common acute complication of HEMODIALYSIS particularly among diabetic pts. Major complications of peritoneal dialysis -peritonitis, weight gain, residual uremia. Ref:Harrison 20th edition pg no.2125,2124